The study of tooth prints is also called as
1. Dermatoglyphics
2. Ameloglyphics
3. Dentinoglyphics
4. Cementoglyphics

Correct answer: 2. Ameloglyphics